Ovarian arteries enters ovary through
1. uterosacral ligament
2. round ligament
3. Infundibulopelvic ligament
4. Broad ligament

Correct answer: 3. Infundibulopelvic ligament

Explanation: Ans c Ref: Sheila Balakrishnan page 16The ovarian artery arises from abdominal aorta just below renal arteries. It crosses the ureter at the pelvic brim and entering the infundibulopelvic ligament divides to supply ovaries and fallopian tubes.